Green discharge is M. Commonly seen with
1. Duct papilloma
2. Duct ectasia
3. Retention cyst
4. Fibroadenosis

Correct answer: 2. Duct ectasia

Explanation: Ans is 'b' ie Duct ectasia "A black or green discharge is usually due to duct ectasia and its complications." - Bailey & Love.Duct ectasia is dilatation of lactiferous ducts associated with periductal inflammation, the pathogenesis of which is unknown.